Iris pearls are seen in uveiitis due to -
1. Tuberculosis
2. Syphilis
3. Toxoplasma
4. Leprosy

Correct answer: 4. Leprosy

Explanation: Ans. is 'd' i.e., Leprosy * Lepromatous uveitis may occur as acute iritis (non-granulomatous) or chronic iritis (granulomatous).1) Acute iritis : It is caused by antigen-antibody deposition and is characterised by severe exudative reaction.2) Chronic granulomatous iritis : It occurs due to direct organismal invasion and is characterised by presence of small glistening'iris pearls' near the pupillary margin in a necklace form; small pearls enlarge and coalesce to form large pearls. Rarely, a nodular lepromata may be seen.